Which of the following drug is a reverse transcriptase inhibitor ?
1. Indinavir
2. Ritonavir
3. Nelfinavir
4. Abacavir

Correct answer: 4. Abacavir